Acetyl-CoA generated from the metabolism of fatty acid can be converted into all of the following, except:
1. Glucose
2. Fatty Acids
3. Cholesterol
4. Ketone bodies

Correct answer: 1. Glucose

Explanation: In humans and animals Acetyl-CoA cannot be used to synthesise glucose. Pyruvate or oxaloacetate is needed as the starting material for glucose production gluconeogenesis. Humans and animals do not possess the enzymes needed to convert Acetyl-CoA to pyruvate. Ref: General, Organic and Biological Chemistry By H. Stephen Stoker, Page 943